Bronchial arteries supply the lung up to -
1. Major bronchi
2. Alveolar duct
3. Tertiary bronchi
4. Respiratory bronchioles

Correct answer: 4. Respiratory bronchioles

Explanation: Ans. is 'd' i.e., Respiratory bronchioles o Bronchial arteries supply the lung till the beginning of respiratory bronchiole (conducting part) and then anastomose with pulmonary arteries.